Typically bilateral inferior subluxations of the lens is seen in -
1. Marfan's syndrome
2. Homocystinuria
3. Hyperinsulinemia
4. Ocular trauma

Correct answer: 2. Homocystinuria

Explanation: Homocystinuria: It is an autosomal recessive,inborn error of metabolism. In it the lens is usually subluxated downwards and nasally.